Muscle responsible for intorsion of the eye:
1. Superior oblique
2. Superior rectus
3. Both of the above
4. None of the above

Correct answer: 3. Both of the above

Explanation: Single/pure movements-produced as a result of combined actions of muscles.Upward rotation/elevation-superior rectus and inferior obliqueDownward rotation/depression-inferior rectus and superior obliqueMedial rotation/adduction-superior rectus, medial rectus and inferior rectusLateral rotation/abduction-superior rectus, lateral rectus and inferior rectusIntoion-superior oblique and superior rectusExtoion-inferior oblique and inferior rectus